Relationship of neurovascular bundle from above downwards in intercostal space:
1. Nerve - Artery - Vein
2. Artery - Nerve - Vein
3. Vein - Nerve - Artery
4. Vein - Artery - Nerve

Correct answer: 4. Vein - Artery - Nerve

Explanation: * The arrangement of neurovascular bundle in the costal groove superior to inferior is: Posterior intercostal Vein, Posterior intercostal Artery and Intercostal Nerve (VAN goes down, superior to inferior).